A -wave in JVP indicates:
1. Atrial relaxation
2. Atrial contraction
3. Bulging of tricuspid valve into right atrium
4. Ventricular contraction

Correct answer: 2. Atrial contraction

Explanation: Ans. B: Atrial contraction Waves - a - presystolic; produced by right atrial contraction - c - bulging of tricuspid valve into the right atrium during ventricular systole (isovolumic phase) - v - occurs in late ventricular systole; increased blood in right atrium from venous return Descents - x - combination of atrial relaxation, downward movement of the tricuspid valve and ventricular systole - y - tricuspid valve opens and blood flows in to the right ventricle Abnormal waveform causes Dominant a wave - Pulmonary stenosis - Pulmonary hypertension - Tricuspid stenosis Cannon a wave - Complete heart block - Paroxysmal nodal tachycardia Ventricular tachycardia Dominant v wave - Tricuspid regurgitation Absent x descent - Atrial fibrillation Exaggerated x descent - Cardiac tamponade - Constrictive pericarditis Sharp y descent - Constrictive pericarditis - Tricuspid regurgitation Slow y descent - Right atrial myxoma